Which coenzyme is responsible for carboxylation reaction?
1. Biotin
2. FAD
3. NADH
4. Thiamine pyrophosphate

Correct answer: 1. Biotin

Explanation: Ans. is 'a' i.e. biotin Biotin is the coenzyme required for enzymes that are involved in carboxylation reactions, e.g. acetyl-CoA carboxylase and pyruvate carboxylase.* Most coenzymes are derived from vitamins. Below is given list of vitamins, derived coenzymes and the reactions they are involved in: VitaminCoenzymeReaction typeBi (Thiamine)TPP (thiamine pyrophosphate)Oxidative decarboxylation, transketolationB2 (Riboflavin)FMN, FADOxidation/ReductionB3(Pantothenate)CoA-Coenzyme AAcyl group transferB6 (Pyridoxine)PLP (Pyridoxal phosphate)Transfer of groups to and from amino acids (Transamination,Deamination, Condensation, Decarboxylation)Bj2 (Cobalamin)5-deoxyadenosyl cobalamin,methylcobalaminIsomerization of methylmalonyl, synthesis of mehionineNiacinNAD+, NADP+Oxidation/ReductionFolic acidTetrahydrofolateOne carbon group transferBiotinBiotinCarboxylationVitamin KVitamin KCarboxylation of glutamic acid residues